Natalizumab is used in treatment of ?
1. Muliple sclerosis
2. Breast carcinoma
3. Psoriasis
4. B cell lymphoma

Correct answer: 1. Muliple sclerosis

Explanation: Ans. is 'a' i.e., Multiple sclerosis Treatment of multiple sclerosis 1. Treatment of acute attack Corticosteroids (Methylprednisolone, prednisolone) are used 2. Treatment with disease-modifing agents that reduce the biological activity of MS Disease modifying agents for multiple sclerosis are (i) IFN-13 la; (ii) IFN-13 lb, (iii) Glatiramer; (iv) Natalizumab; (v) Finoglimod: (vi) Mitoxantrone; (vii) Cladaribine. 3. Other treatment options Other off-label treatment options are (i) methotrexate; (ii) cyclophosphamide; (iii) IV immunoglobulins; (iv) azathioprine. 4. Symptomatic Treatment It includes healthy diet, regualr exercise. Treatment of rigidity (baclofen, diazepam, tizanidine, dantroline) Treatment of weakness (Potassium channel blockers like 4-aminopyridine) Treatment of pain by anticonvulsants (carbamezapine, phenytoin, gabapentin, pregabalin), or antidiepressants (mexiletin). Treatment of UTI, bladder dysfunction, constipation, depression, fatigue and cognitive problems.